Personal services rendered by doctors to patients in hospital, nursing home and at home is ?
1. Health care
2. Medical care
3. Domiciliary care
4. Nursing care

Correct answer: 2. Medical care

Explanation: Ans. is 'b' i.e., Medical CareThe term 'medical care' is not synonymous with health care.Health care means, 'services provided to individuals or communities by agents of the health services or professions for the purpose of promoting, maintaining, monitoring or restoring health'.It takes into consideration factors such as basic sanitation, adequate food, healthy life styles, housing, protection against environmental hazards and communicable diseases.It includes medical care.